Large PDA leads to ?
1. Endocardial valvulitis
2. Eisenmenger syndrome
3. CHF
4. All of above

Correct answer: 4. All of above

Explanation: Ans. is 'd' i.e., All of above Patent ductus arteriosus (PDA) Small PDA may not cause any complication but large defect if untread may leads to : Pulmonary hypertension Left to Right shunt leads to too much circulation of blood in lung which leads to pulmonary hypertension. Eisenmenger's syndrome - Large standing pulmonary hypertension leads to permanent lung damage and causes Right to Left shunt. Endocarditis. Arrhythmia Enlargement of heart due to PDA increase risk of arrhythmias